Secretory part of kidney develops from -
1. Ureteric bud
2. Mesonephros
3. Blastema
4. Paramesonephric duct

Correct answer: 3. Blastema

Explanation: Ans. is 'c' i.e., Blastema Development of kidneyo Ureteric bud (mesonephros) arise from mesonephric duct and gives rise to collecting system of kidney (renal pelvis, major and minor calyces, collecting tubule) and ureter,o Metanephric mesoderm (blastema or metanephors) arise from nephrogenic cord which in turn is derived from intermediate mesoderm. It gives rise to excretory unit (nephron), i.e. glomeruli, PCT, Loop of henle and DCT.